The risk of cold chain failure is greatest at:-
1. Regional level
2. District Level
3. PHC level
4. Subcentre & village level

Correct answer: 4. Subcentre & village level

Explanation: The risk of cold chain failure is greatest at Subcentre & village level. Cold chain maintainence occurs at 5 major levels in India 1.Regional/ State - WIC, WIF 2. District - ILR , DF 3. PHC - ILR , DF (small in size) 4. Sub center - vaccine carrier 5. Village - Ice pack All vaccine Transport in India at Temp. of +2 to + 8degC